Fixed pelvic tumour occurs in :
1. Malignancy
2. Endometriosis
3. Growth extension into ligaments
4. All of the above

Correct answer: 4. All of the above

Explanation: All of the above